Nerve supply of kidney is from -
1. Lumbar plexus
2. Coeliac plexus
3. Inferior mesentric nerve
4. None

Correct answer: 2. Coeliac plexus

Explanation: Nerve supply to kidney is from Renal plexus which arises from coeliac plexus.